In a social group a social act which is considered natural and right is referred to as -
1. Taboo
2. Ritual
3. Custom
4. Tradition

Correct answer: 3. Custom

Explanation: Ans. is 'c' i.e., Custom Terms custom and tradition are used interchangeably. But there is a difference (though minute) between these two : - Customs It the established patterns of behaviour that can be objectively verified within a particular society. 3 In simple words, it is the act (social act) which is commonplace considered to he normal for that society. It should be keep in mind that custom of one society may be strange or abnormal to other society. Traditions o Traditions are a daily part of our lives which is herited by other persons. o That is Tradition is a custom that is handed down. That means : ? o Custom is usual behaviour (social act). o When custom is handed to other persons of society, the same act (custom) becomes tradition. About other options. Taboo --> A tabbo is a social prohibition (ban) relating to any area of human activity (custom). Breaking of taboo is usually considered objectionable by society. o Ritual --> It is a prescribed order of cremony.